Which is not transmitted through blood-
1. Westnile
2. Cholera
3. Toxoplama
4. HBV

Correct answer: 2. Cholera